Differential diagnosis of Botulism are all except -
1. GB syndrome
2. Myasthenia gravis
3. Lambert Eaton syndrome
4. Clostridial myonecrosis

Correct answer: 4. Clostridial myonecrosis

Explanation: Answer- D. Clostridial myonecrosisGuillain-Bare syndromeEaton-Lambe syndromeMyasthenia gravisTick paralysisStroke syndromes